True in myopes:
1. Use diverging lens
2. Image formed infront of retina
3. Far point becomes near
4. All

Correct answer: 4. All

Explanation: A i.e. Use diverging lens; B i.e. Image formed infront of retina; C i.e. Far point becomes near Myopia or 'Short sight' is a refractive error that most commonly presents as indistinct distant vision in which the light rays are focussed in front of the retina. As the maximum distance of clear vision is reduced the far point has come nearer.